Hypervitaminosis A causes:
1. Alopecia
2. Benign intracranial hypertension (Pseudo tumour cerebri)
3. Liver damage
4. All

Correct answer: 4. All

Explanation: Vitamin A toxicity leads to: Alopecia Dry pruritic skin Hepatomegaly Liver damage Arthralgia raised intracranial pressure which sometimes mimic brain tumor. This is known as benign intracranial hypertension (Pseudo tumour cerebri). Organelles which is mainly affected by vitamin A toxicity is Lysosome.